Plaster of paris is mixed in
1. Plastic bowl
2. Rubber bowl
3. Glass bowl
4. Metal bowl

Correct answer: 2. Rubber bowl

Explanation: Spatulation can be continued by hand using a spatula with a stiff blade with the bowl on a vibrator or a power-driven mechanical spatulator.